Generalized Tonic clonic status epilepticus, Rx of choice:
1. Ethosuxamide
2. Sodium valproate
3. Lamotrigene
4. Lorazepam

Correct answer: 4. Lorazepam

Explanation: Answer is D (Lorazepam): Although Valproate and Limotrigine are the agents offirst choice in cases of Generalized Tonic Clonic Seizures, they are not the preferred agents if the patient presents in status epilepticus. The patient in question is presenting in status epilepticus hence the initial agents of choice is Lorazepam. First choice drugs in status epilepticus Diazepam (I. V.) Clonozepam (I. V.) Lorazepam (I.V.)